All are components of Sewer gas except -
1. H2S
2. CO2
3. SO2
4. Methane

Correct answer: 3. SO2

Explanation: When the sewage is highly concentrated and contains plenty of solids the anaerobic process is highly effective. The end products of decomposition are methane, ammonia, CO2, and H2S. Park's Textbook of Preventive and Social Medicine, 25th Edition, Pg 794